If a person has a heart rate of 70 beats/min, a left ventricular end diastolic volume of 100 ml, and an ejectionfraction of 0.50, then the cardiac output is
1. 3.0 liters/ min
2. 3.5 liters/ min
3. 4.0 liters/min
4. 4.5 liters/ min

Correct answer: 2. 3.5 liters/ min

Explanation: Cardiac output = heart rate x stroke volume. The ejection fraction = stroke volume/left ventricular end- diastolic volume (LVEDV). Therefore, stroke volume ejection fraction x L VEDV, or 0.50 x 100 ml = 50 nit Cardiac output = 50 ml x 70 beats/mm = 3500 mI/minute, or 3.5 liters/mm.